Which of the following is not a sexual paraphilia?
1. Fetishism
2. Voyeurism
3. Homosexuality
4. Frotteurism

Correct answer: 3. Homosexuality

Explanation: Sexual Paraphilia = A deviant sexual preference for arousal Homosexuality = A normal sexual orientation towards the same gender Important Sexual Paraphilia Exhibitionism Exposure of one's genitalia Fetishism Use of non-living objects, E.g., undergarments, shoes, handkerchief, etc. Frotteurism Rubbing against or touching a non-consenting person to obtain sexual arousal Voyeurism Arousal through viewing another person's undressing, toileting, or sexual activity Transvestic fetishism The obligatory use of clothing of the opposite sex to achieve arousal Transvestism Crossdressing, not for sexual arousal Satyriasis Morbid, insatiable sexual need or desire in a man Sexual sadism Inflicting humiliation or suffering Sexual masochism Seeking humiliation or suffering Pedophilia Sexual fantasy pre-occupation or sexual activity with prepubescent individuals Nymphomania Abnormal, excessive, insatiable desire in woman for sexual intercourse